All of the following are true about medulloblastoma except:
1. Occur predominantly in children
2. Most common site is Vermis
3. Carmustine and vincristine are used for recurrences and in children <3 years to avoid radiation therapy
4. Radiotherapy is the main treatment modality

Correct answer: 4. Radiotherapy is the main treatment modality

Explanation: Medulloblastoma Most common malignant brain tumor of childhood- M/C site - Cerebellum (vermis) In adults most common site is Lateral Cerebellar hemisphere Most radiosensitive brain tumor Has CSF spread - given Craniospinal irradiation. Treatment - Despite of extreme radiosensitivity, it should be surgically excised. - Surgical excision should be followed by radiotherapy andchemotherapy. - Carmustine (BCNU) and vincristine are primarily used for recurrences, in poor- risk patients, and in children <3 years to avoid radiation therapy.